Collapsing glomerulopathy is seen in:
1. HIV
2. Nephropathy associated with Nephrin A gene mutation
3. Systemic vasculitis
4. RA stenosis

Correct answer: 1. HIV

Explanation: Ans: A (HIV) "HIV-associated nephropathy : Most lesions on renal biopsy show FSGS followed by MPGN. Other less common renal lesions include DPGN, IgA nephropathy, MCD, and membranous or mesangioproliferative glomerulonephritis. The disease affects up to 10% of HIV-infected patients and is more commonly seen in African-American men than in Caucasians, and in intravenous drug users or homosexuals. The FSGS characteristically reveals collapse of the glomerular capillary tuft called collapsing glomerulopathy, visceral epithelial cell swelling, microcystic dilatation of renal tubules, and tubuloreticular inclusions"- Harrison 17th/ 1796